What is the root value of Biceps jerk
1. C5-C6
2. C6-C7
3. C7-C8
4. C8-T1

Correct answer: 1. C5-C6

Explanation: Biceps jerk C5, 6 Triceps jerk C6-8 Radial jerk C7, 8 Biceps jerk (C5, 6) - The elbow is flexed to a right angle and slightly pronated. A finger is placed on the biceps tendon and struck with a percussion hammer; this should elicit flexion and slight supination of the forearm.